What is a hypnopompic hallucination
1. If experienced while falling asleep
2. If experienced while awakening
3. After head trauma
4. After convulsion

Correct answer: 2. If experienced while awakening

Explanation: Enquire whether the hallucinations occurred during wakefulness, or were they hypnagogic (occurring while going to sleep) and/or hypnopompic (occurring while getting up from sleep) hallucinations. this is a type of hallucination that presents in NARCOLEPSY , the major cause of narcolepsy is HYPOCRETIN DEFICIENCY a type of sleep disorder where there is hypnogogic hallucinations hypnopompic hallucinations sleep paralysis hypersomnia cataplexy( sudden loss of muscle tone due to emotional stimulus) Ref: a short textbook of psychiatry, Niraj Ahuja,7th edition, pg no.13